All are seen in anxiety except -
1. Decreased sweating
2. Hyperventilation
3. Cold extremities
4. Palpitations

Correct answer: 1. Decreased sweating

Explanation: There is increased sweating.